Peau d orange appearance is due to
1. Hematogenous dissemination
2. Adherence of coopers ligaments
3. Chest wall fixation
4. Blockade of sub dermal lymphatics

Correct answer: 4. Blockade of sub dermal lymphatics

Explanation: Ans. (d) Blockade of Subdermal lymphatics(Ref: Bailey and love 26/e, p 816)* Peau d orange is due to infiltration of sub dermal lymphatics* Adherence to cooper's ligament - Tethering/ Dimpling/Puckering